Vasopressin acts by:
1. Water transport across collecting duct
2. Water absorption at medullary ducts
3. Water secretion at loop of Henle
4. Water transport at PCT

Correct answer: 1. Water transport across collecting duct

Explanation: A i.e. Water transport across collecting ductVasopressin acts by increasing permeability of collecting ductsQ. to water. The key to the action of vasopressin on collecting duct is aquaporin -2 . The overall effect is retention of water in excess of solute which results in decrease effective osmotic pressure